Inguinal L.node is found to be involved in a case of ovarian Ca. Revised FIGO staging would be ?
1. Stage III A
2. Stage IV B
3. Stage III C
4. Stage IV A

Correct answer: 2. Stage IV B